Most common complaints of ectopic pregnancy
1. Pain
2. Vaginal bleeding
3. Infection
4. Amenorrhea

Correct answer: 1. Pain

Explanation: Ans. A. Pain* An ectopic pregnancy is one in which the fertilized ovum is implanted and develops outside the normal endometrial cavity.* Classic Triad of Ectopic Pregnancy* Pain (100%)* Amenorrhea (75%)* Bleeding per vaginam (70%)* NOTE: Triad is present only in 50% case of ectopic* Most common/Consistent finding of Ectopic Pregnancy PainSymptoms* Nausea and Vomiting* Lower Abdominal pain/generalized Abdomen pain* Shoulder tip pain (25%)* Syncopal attacks (10%)